When does the Implantation occur?
1. On day 4 after fertilization
2. After the endometrium undergoes a decidual reaction
3. When the embryo is at the morula stage
4. Only after priming of the uterine endometrium by progesterone and estrogen

Correct answer: 4. Only after priming of the uterine endometrium by progesterone and estrogen